Valine is an essential amino acid since it cannot be synthesized by the body. Which of the following describes the side chain of valine?
1. Contains a sulfhydryl group
2. Contains a branched chain hydrocarbon
3. Contains an aromatic ring
4. Doesn't have a side chain

Correct answer: 2. Contains a branched chain hydrocarbon

Explanation: Valine, along with isoleucine and leucine, are branched chain amino acids. Cysteine contains a sulfhydryl group. Phenylalanine contains an aromatic ring. Glycine doesn't have a side chain.